Following are the differential diagnosis of congenital disorders of pigmentation -
1. Teitz syndrome
2. Piebaldism
3. Tuberous sclerosis
4. All the above

Correct answer: 4. All the above

Explanation: Ans. is 'd' i.e., All the above Differential diagnosis of congenital disorders of pigmentationo Waardenburg syndromes types 1-4o Tietz syndrome o Piebaldismo Woolf's syndromeo Generalized vitiligoo Segmental vitiligoo Vogt-Koyanagi-Harada syndromeo Chemical leukodermao Tuberous sclerosis (hypopigmented macules and patches)o Ziprkowski-Margolis syndrome (X-linked albinism-deafness syndrome)